In a patient, periodontal support of the remaining teeth is weak and more of the palate should be covered. In this condition, which of the following major connector should be indicated:
1. Continuous clasp.
2. Complete palate.
3. Closed horseshoe.
4. Horseshoe-shaped.

Correct answer: 2. Complete palate.

Explanation: Other than this, wide palatal strap can also be given.